Genital swellings in male differentiate into ?
1. Glans penis
2. Penile urethra
3. Ischiovcavernosus of penis
4. Scrotum

Correct answer: 4. Scrotum

Explanation: D i.e. Scrotum